Cat eye syndrome is-
1. Partial trisomy 21
2. Partial trisomy 18
3. Partial trisomy 13
4. Partial trisomy 22

Correct answer: 4. Partial trisomy 22

Explanation: D ie Partial trisomy of 22